Which of the following is not used in delirium -
1. Haloperidol
2. Lithium
3. Diazepam
4. Olanzapine

Correct answer: 2. Lithium

Explanation: Drugs used for delirium 
1) Typical antipsychotics : - Haloperidol (DOC), Thioridazine, Chlorpromazine.
2)Atypical antipsyclzotics : - Risperidone, quetiapine, olanzapine.
3) Benzodiazepines (for delirium tremens) : - Chlordiazepoxide, Diazepam, Lorazepam, Clonazepam.